Peripheral neuropathy may occur with the use of all the following except -
1. Vincristine
2. Cisplatin
3. L-Asparaginase
4. Procarbazine

Correct answer: 3. L-Asparaginase

Explanation: Ans. is 'c' i.e., L-Asparaginase Drug causing peripheral necropathy Amiodarone Demeclocycline Isoniazid Chloramphenicol Disopyramide Methysergide Chloroquine Ethambutol Metronidazole Cisplatin Ethionamide Vincristine Clioguinol Glutethemide Tricyclic antidepressant Clofibrate Hydralazine Tolbutamide Paclitaxol Chlorpropamide Mustine Nalidixic acid Nitrofurantoin Perhexiline Phenelzine Phenytoin Streptomycin Procarbazine Polymyxin, colistin Stavudine Didanosine Zalcitabine